Which cranial nerve passes through Dorello canal-
1. Vagus
2. Trochlear
3. Trigeminal
4. Abducent

Correct answer: 4. Abducent

Explanation: Ans. is 'd' i.e., Abducent o Dorello canal is an opening to cavernous sinus that transmit aducent nerve underneath the superior petrosal sinus.